Technique of sterilization was introduced by?
1. Robert Koch
2. Edwerd Jenner
3. Louis Pasteur
4. Lister

Correct answer: 3. Louis Pasteur

Explanation: Ans. is 'c' i.e., Louis Pasteure Louis Pasteur is associated with : Development of live vaccine (first was anthrax). Development of vaccine for rabies (hydrophobia). Introduction of technique of sterilization. Disprove the theory of spontaneous generation (abiogenesis). Established the different growth need of different bacteria (helped in complex media). Coined the term vaccine.